Maximum radiation dose tolerable tissue is
1. Hematopoietic tissue
2. Testis
3. Bone
4. Ovary

Correct answer: 3. Bone

Explanation: Tissue-specific radiation riskHigh riskGonadsStomachColonlungBone marrowBreastModerate riskBladderOesophagusLiverThyroidLow riskBrainBoneSkinSalivary glands(Ref: Farr's Physics for Medical Imaging, 2nd Edition, chapter 2)